Infection causing CAD -
1. Chlamydia pneumonae
2. Streptococcus
3. Proteus
4. Uroplasma ureolyticum

Correct answer: 1. Chlamydia pneumonae